Horner's syndrome is characterized by all of the following except:
1. Miosis
2. Enopthalmos
3. Ptosis
4. Cycloplegia

Correct answer: 4. Cycloplegia

Explanation: Cycloplegia is not a feature of Horner's syndrome. Ref:Walsh and Hoyt's Clinical Neuro-Ophthalmology: The Essentials By Frank Burton Walsh, Nancy J. Newman, William Fletcher Hoyt, Neil R. Miller, Valerie Biousse, John B. Kerrison, 2007, Page 304